Vortex Keratopathy is seen with all drugs except:
1. Phenothiazines
2. Tamoxifen
3. Indomethacin
4. Thioxanthines

Correct answer: 4. Thioxanthines

Explanation: Vortex Keratopathy / Cornea Verticillata
Whorl like deposits in corneal epithelium

It is seen in Fabry's disease
Amiodarone
Phenothiazines
Indomethacin
Tomoxifen
Chloroquine